After RTA a young male presented with non pulsatile retroperitoneal hematoma. On table IVU was done. Right kidney not visualized. Left kidney showed immediate excretion of dye. What is next step in management:
1. Nephrectomy
2. Open Gerota's fascia and explore proximal renal vessels
3. Perform Retrograde pyelography
4. Perform on table angiography

Correct answer: 4. Perform on table angiography

Explanation: Ans is 'd' i.e. Perform on table angiography "nonvisualization of the kidney requires immediate arteriography or CT scan to determine whether renal vascular injury exists."- Smith's Urology "Absence of kidney perfusion is an indication for renal artery angiography"- Sabiston The major causes of nonvisualization on an IVU are total pedicle avulsion, arterial thrombosis, severe contusion causing vascular spasm, and absence of the kidney. Arteriography would help identify major arterial and parenchymal injuries.Arterial thrombosis and avulsion of the renal pedicle are best diagnosed by arteriography. Also know: Best imaging study to detect and stage renal and retroperitoneal injuries is - computed tomography with contrast media. It can define the size and extent of the retroperitoneal hematoma, renal lacerations, urinary extravasation, and renal arterial and venous injuries; additionally, it can detect other intra-abdominal injuries. Management: Blunt injuries--Minor renal injuries from blunt trauma account for 85% of cases and do not usually require operation. Bleeding stops spontaneously with bed rest and hydration. Cases in which operation is indicated include those associated with persistent retroperitoneal bleeding, urinary extravasation, evidence of nonviable renal parenchyma, and renal pedicle injuries (less than 5% of all renal injuries). Aggressive preoperative staging allows complete definition of injury before operation. Penetrating injuries--Penetrating injuries should be surgically explored. A rare exception to this rule is when staging has been complete and only minor parenchymal injury, with no urinary extravasation, is noted. In 80% of cases of penetrating injury, associated organ injury requires operation; thus, renal exploration is only an extension of this procedure. In the above question, the patient had non pulsatile hematoma. A pulsatile or expanding hematoma is an indication for surgical exploration.